Viper venom is:
1. Neurotoxic
2. Vasculotoxic
3. Myotoxic
4. Cardiotoxic

Correct answer: 2. Vasculotoxic

Explanation: Ans. Vasculotoxic